Intravenous immunoglobulin is given in all except?
1. Kawasaki disease
2. Acute ITP
3. Wegener's Granulomatosis
4. Myasthenic Crisis

Correct answer: 3. Wegener's Granulomatosis

Explanation: IVIG is an approved treatment for the following conditions: ITP Kawasaki disease Guillain-Barre syndrome Polymyositis/dermatomyositis. Allogeneic bone marrow transplantation Graft versus host disease Chronic lymphocytic leukemia Common variable immunodeficiency (CVID) Chronic inflammatory demyelinating polyneuro-pathy (CIDP) Kidney transplantation with a high antibody recipient or with an ABO incompatible donor Primary immunodeficiency disorders associated with defects in humoral immunity